Carcinoma cervix is more common in:a) HIV Patientb) Multiparityc) Smokingd) Nulliparitye) Family history
1. ab
2. abc
3. acd
4. bcd

Correct answer: 2. abc

Explanation: Factors Predisposing to CIN/Ca cervix:

Human Papilloma virus infection
Sexually transmitted infections:
Coitus before 18 years of age
Multiple sex partners
Multiparity
Poor personal hygiene
Poor socioeconomic status
Smoking
Immunosuppressed individuals
Women on OCP, Progesterone therapy for long time are predisposed to adenocarcinoma of endocervix.
In utero exposure to DES
"HPV is central to the development of cervical neoplasia. HPV - DNA is found in 95% of all squamous cell carcinoma & 90% of all adenocarcinomas."